Carotid body tumours
1. Arises from the endothelial cells
2. Originates from the Schwann cells
3. R/T is the Rx of choice
4. May metastasize

Correct answer: 4. May metastasize

Explanation: Carotid body tumors may metastasize in rare cases.